True about polycystic ovarian syndrome
1. Associated with carcinoma endometrium
2. Always associated with obesity
3. Diabetes incipidus
4. Hypo androgenemia

Correct answer: 1. Associated with carcinoma endometrium

Explanation: i.e. (Associated with carcinoma endometrium): (369-Shaw's 15th) (467-HI 7th)* The increased conversion of androstenedione to estrogen which occurs to a greater degree in women with lower body obesity may contribute to the increased incidence of uterine cancer in post menopausal women with obesity (467-H17th)* PCOS is most strongly associated with a risk of endometrial carcinoma and may also be associated with an increased risk of ovarian and breast cancer**** Long term sequelae of PCOS- Diabetes mellitus- CVS disorders - MI- Lipidaemia- Hypertension- Endometrial cancer- Breast cancer- Premature ovarian failure following surgery* Autosomal dominant inherited factor** were added as aetiological factor in the development of PCOS. CYP21 gene mutation has been discovered in this connection